A 32-year-old woman who had not received the usual pediatric vaccinations developed fever, headache, malaise, and ear pain accompanied by swelling of the parotid glands. One week later, her fever subsided but she developed pelvic pain and tenderness. With which virus was she infected?
1. Cytomegalovirus
2. Mumps virus
3. Rabies virus
4. Respiratory syncytial virus

Correct answer: 2. Mumps virus

Explanation: The vignette describes an adult woman with mumps virus (Rubulavirus) (b) infection, or mumps, who develops oophoritis, a complication that occurs in postpubertal females. Cytomegalovirus (a), rabies virus (c), respiratory syncytial virus (d), and rubella virus (e) do not cause this clinical picture.